Double rise of temperature in 24 hours is seen in case of -
1. Kala Azar
2. Malaria
3. TB
4. Hodgkin's lymphoma

Correct answer: 1. Kala Azar

Explanation: L.donovani produces kala -azar Characterised by pyrexia,splenomegaly,hepatomegaly,lymphadenopathy and general features of anaemia (refer pgno:41 baveja 3 rd edition)